With couinaud's segment nomenclature, which one the following segments of liver has an independent vascularization
1. Segment I
2. Segment II
3. Segment IV
4. Segment VIII

Correct answer: 1. Segment I

Explanation: Segment I is the caudate lobe and is situated posterior rtl and it may receive its supply from both the right and the left branches of portal vein. It contains one or more hepatic veins which drain directly into the IVC Ref: Sabiston 20th edition Pgno : 1422